Active replication in Hepatitis B in fection is indicated by -
1. HBeAg
2. HBsAg
3. HBcAg
4. Anti-HBsAg

Correct answer: 1. HBeAg

Explanation: Circulating HBeAg Indicate of active intrahepatic replication REF:MICROBIOLOGY ANANTHA NARAYANAN NINTH EDITION PAGE.547